Radiopaque irregularity associated with the roots of mandibular central incisors most likely represent?
1. Root Caries
2. Subgingival Calculus
3. Subgingival Pellicle
4. Hyperplastic Cementum

Correct answer: 2. Subgingival Calculus